Which of the following is not necessary to be mentioned on drug advertisement literature?
1. Expiry date of the drug
2. References of the information
3. Rare but life-threatening adverse effects
4. Common but insignificant adverse effects

Correct answer: 1. Expiry date of the drug

Explanation: Ans. (A) Expiry date of the drug(Ref: WHO criteria for drug advertisement, Practical Manual of Pharmacology by Dinesh Badyal 1st/e p211-212)According to WHO criteria and OPPI (Organization o Pharmaceutical Producers of India) code of Pharmaceutical practices 2012, the printed drug promotional literature (DPL) must containName of the drug: Brand name should be available with the active ingredient (generic name). The ratio of size of brand name to generic name should not be more than 3:1Indications: Approved therapeutic indications must be present on the DPL.Dosage: Content of active ingredient(s) per dosage form and whole regiment should be written on the DPLPrecautions and warningsContraindicationsAdverse effects: All serious adverse effects and common non-serious adverse effects should be mentioned on the DPLMajor interactionsPrice: Price of the drug as well as whole regimen should be present on DPL.Information of manufacturer: The name and address of the pharmaceutical company or its agent responsible for marketing the product must be present on DPLReference to scientific literature: Appropriate references should be available regarding the claims made by the DPL.